Only cataract which is reversible on treatment
1. Diabetic cataract
2. Oil drop cataract
3. Chalcosis
4. Shield cataract

Correct answer: 2. Oil drop cataract

Explanation: Only cataract which is preventable/reversible on treatment Oil drop cataract.